All of the following conditions are observed in Gout.except -
1. Uric acid nephrolithiasis
2. Deficiency of enzyme xanthine oxidase
3. Increase is serum urate concentration
4. Renal disease involving interstitial tissues

Correct answer: 2. Deficiency of enzyme xanthine oxidase